Which of the following is the wrong method to chart left lower canine
1. 33 I FDI
2. 43 in Modified FDI
3. 22 in Palmer notation
4. -3 in harder Up system

Correct answer: 3. 22 in Palmer notation

Explanation: Palmer's notation Permanent teeth Right left 8 7 6 5 4 3 2 1 1 2 3 4 5 6 7 8 8 7 6 5 4 3 2 1 1 2 3 4 5 6 7 8 Temporary teeth 5 4 3 2 1 1 2 3 4 5 5 4 3 2 1 1 2 3 4 5 Ref: FORENSIC MEDICINE AND TOXICOLOGY Dr PC IGNATIUS THIRD EDITION PAGE NO 85